During pregnancy the maternal blood volume increases by nearly :
1. 5 - 10%
2. 15 -- 20%
3. 50%
4. 70%

Correct answer: 3. 50%

Explanation: Ans. is c i.e. 50% Friends, we have dealt with hemodynamic changes during pregnancy in detail earlier but here lets quickly revise a few changes asked quite often. Most important physiological changes during pregnancy (for 11th hour revision) Net weight gain in pregnancy is 11 kg (24 lb).deg Blood volume T's by 40-50%.deg Blood volume reaches maximum at 30-32 weeks.deg Plasma volume T's by 50%.deg RBC volume T's by 20-30%.deg TLC is increased, specifically Neutrophilic leucocytosis occurs.deg Total plasma proteins increase.deg Plasma protein concentration decreases.deg Albumin level decreases, globulin levels (specially IgA) slightly increase.deg Fibrinogen levels increase by 50%.deg ESR is increased.deg All clotting factors except XI and XIII increase.deg Platelet count decreases (Gestational Thrombocytopenia).deg Cardiac output (stroke volume) increases to 40-50% by 30-34 weeks.deg Peripheral vascular resistance decrease.deg Diastolic BP decreases.deg Uterine blood flow increases near term.deg Plasma insulin levels increase.deg S. Prolactin levels increase.deg Vital capacity and respiratory rate remain constant.deg Renal plasma flow and GFR increase.deg All LFT'S remain unchanged, with exception of alkaline phosphatase which increases (specially heat stable alkaline phosphatase produced by placenta).deg